Endorphin release causes -
1. Analgesia
2. Allodynia
3. Hyperalgesia
4. None of the above

Correct answer: 1. Analgesia

Explanation: Ans. is 'a' i.e., Analgesia o Primary action of endorphin (b-endorphin) is to inhibit pain.o Neurons containing b--endorphin descend from the hypothalamus to terminate on periaquenductal gray matter of midbrain. Periaqueductal gray matter send enkephalinergic and dynorphinergic neuron to medulla to inhibit pain by stimulating raphe nucleus.